A normal child has dysfluency of speech between:
1. 2 and 4 years
2. 4 and 6 years
3. 6 and 8 years
4. 8 and 10 years

Correct answer: 1. 2 and 4 years

Explanation: a. 2 and 4 years(Ref: Nelson's 20/e p 65-77, Ghai 8/e p 52-53)Language development occurs most rapidly between 2 and 5 years of age. The period of rapid language acquisition is also when developmental dysfluency and stuttering are most likely to emerge